All of the following are ketone bodies EXCEPT
1. Alpha ketoglutarate
2. Acetone
3. Acetoacetate
4. Beta-hydroxy butyrate

Correct answer: 1. Alpha ketoglutarate

Explanation: Primary ketone body-Acetoacetate.
Secondary ketone bodies- Acetone, Beta-hydroxybutyrate.
Neutral Ketone body-Acetone.
Ketone body excreted through lungs-Acetone.
Site of synthesis of ketone bodies-Liver mitochondria.
Organs which do not utilize ketone bodies-Liver, RBCs.
Rate limiting step of ketone body synthesis-HMG CoA Synthase.
Ketone bodies that do not answer Gerhardt's test- Betahydroxybutyrate and Acetone.
Ketone body that does not answer neither Rothera test nor Gerhardt's test-Betahydroxybutyrate.